About Sodium, true:
1. Normal serum level is 135-145 mEq/L
2. Daily intake is 150 mmol of NaC1
3. Major portion is extra cellular
4. All

Correct answer: 4. All

Explanation: A i.e. Normal serum level is 134- 145 m eq/lit; B i.e. Daily intake is 150 mmol of NaCl; C i.e. major portion is extracellular